Which of the following is used as a thickening agent in dentrifices?
1. Calcium carbonate, calcium phosphate and calcium sulphate
2. Sodium bicarbonate and aluminium oxide
3. Sodium lauryl sulphate and sodium lauryl succinate
4. Carboxymethyl cellulose and alginate amylase

Correct answer: 4. Carboxymethyl cellulose and alginate amylase